Which of the following statement is/are true regarding androgen insensitivity syndrome?
1. vagina is formed
2. Karyotype is XX
3. Karyotype is XY
4. Pubic hair is normally present

Correct answer: 3. Karyotype is XY

Explanation: Androgen insensitivity syndrome phenotype is female Karyotype is 46,xy testis present in the inguinal canal lack pubic and axillary hair Absent uterus and upper vagina Blind pouch of Lower vagina SHAW'S TEXTBOOK OF GYNAECOLOGY,Pg no:286,15th edition